Most common manifestation of severe hemophilia A is
1. Retroperitoneal hemorrhages
2. Recurrent heamarthrosis
3. Recurrent muscle bleeding
4. Recurrent bleeding from gums

Correct answer: 2. Recurrent heamarthrosis

Explanation: Recurrent heamarthrosis is a common manifestation of moderate / severe disease.